The commonest mode of inheritance of Von Willebrand's diasease –
1. Codominant
2. Autosomal recessive
3. Autosomal dominant
4. X linked recessive

Correct answer: 3. Autosomal dominant

Explanation: Von Willebrand disease 

Von Willibrand disease is of following types -

1)Type I (most common 70%) → Autosomal dominant, with reduced quantity of vWF.
2)Type II (25%) → Autosomal dominant, with qualitative defect of vWF.
3)Type II → Autosomal recessive, with reduced quantity of vWF.